The following statements are ture regarding the SA node except -
1. Is located at the right border of the ascending aorta
2. In contains specialized nodal cardiac muscle
3. It is supplied by the atrial branche of the right coronary artery
4. It initiates cardiac conduction

Correct answer: 1. Is located at the right border of the ascending aorta

Explanation: SA node is supplied mostly by right coronary artery and beats at a rate of 70-80/min. It is situated at upper end of crista terminalis in the right atrium.